Which structure passes through Intersigmoidal recess?
1. Sigmoidal vessels
2. Left Ureter
3. Superior rectal vessels
4. External Iliac artery

Correct answer: 2. Left Ureter

Explanation: Left Ureter passes through Intersigmoidal recess.